Most common cause of first trimester abortion is:
1. Chromosomal defect
2. Endocrine disturbances
3. Anatomic abnormality of uterus
4. Infections

Correct answer: 1. Chromosomal defect

Explanation: Ans. Chromosomal defect